Cotton wool spot is /are seen in – a) DRb) Hypertensive retinopathyc) AIDSd) Retinoblastomae) Toxaemia of pregnancy
1. abce
2. abcd
3. acde
4. abde

Correct answer: 1. abce